Measures of central tendency is given by all, EXCEPT:
1. Mean
2. Median
3. Range
4. Mode

Correct answer: 3. Range

Explanation: Measures of central tendency is given by mean, median & mode. Range gives measure of dispersion.